Warburg effect is:
1. Aerobic glycolysis
2. Anaerobic glycolysis
3. Inhibition of glycolysis by oxygen
4. Inhibition of oxygen uptake by glycolysis

Correct answer: 1. Aerobic glycolysis

Explanation: Warburg effect is aerobic glycolysis. Warburg effect Cancer cells convert pyruvate to lactate even in the presence of O2. This is known as aerobic glycolysis. Lactic acid produces local acidic environment helping in metastasis. Energy is derived from conversion of pyruvate to lactate is just 2 ATPs, cancer cells take up large amount of glucose compared to normal cells. This enhanced glucose uptake is the biochemical basis of PET scan.